The drug of choice for management of infantile spasm is:
1. Phenytoin
2. Valproate
3. ACTH
4. Diazepam

Correct answer: 3. ACTH

Explanation: Ans: C (ACTH) Ref Essentials of Medical Pharmacology by K. D. Tripathi p.411-12Explanation:Drugs of choice in epilepsyType of seizureFirst choice drugsGeneralised tonic-clonic /simple partial with or without generalizationCarbamazepine, PhenytoinComplex partial with or without generalizationCarbamazepine.Valproate,PhenytoinAbsenceValproateMyoclonicValproateAtonicValproateFebrile seizuresDiazepam (rectal)Status epilepticusDiazepam (I.V.)Lorazepam (I.V.)Infantile spasmACTH (Drug of choice)Also, Vigabatrin